60 year female with tense bulla in lower extremity and subepidermal bullous lesion on microscopy, diagnosis is?
1. Bullous pemphigoid
2. Pemphigus vulgaris
3. Erythema multiforme
4. Dermatitis herpetiformis

Correct answer: 1. Bullous pemphigoid

Explanation: Ans. is 'a' i.e., Bullous pemphgoid See explanation- 1 of session- 10 of Skin of All India 2014-15 pattern of this book.